Meningitis with rash is seen in -
1. Neisseria meningitidis
2. H. influenzae
3. Strep. agalactiae
4. Pneumococcus

Correct answer: 1. Neisseria meningitidis